Virchow method of organ removal is
1. Organs removed en masse
2. Organs removed one by one
3. In-situ dissection
4. En-block removal of viscera

Correct answer: 2. Organs removed one by one

Explanation: In Virchows method organs are removed one by one. Cranial cavity is exposed first then thoraxic, cervical and abdominal organs. Dr. Narayana Reddys Synopsis of Forensic Medicine & Toxicology 27 th edition pg. 57.